Pleurisy is common in which one of the following connective tissue disease -
1. System lupus erythematosis
2. Systemic sclerosis
3. Polyaritis nodosa
4. Mixed connective tissue disease

Correct answer: 1. System lupus erythematosis